Release of proenzymes from the pancreatic acinar cells is accomplished by which of the following processes?
1. Exocytosis
2. Transcytosis
3. Apoptosis
4. Endocytosis

Correct answer: 1. Exocytosis

Explanation: The membrane of the zymogen granule fuses with the apical cell membrane to release the proenzymes synthesized by the pancreatic acinar cells into the acinar lumen. This is exocytosis. Transcytosis describes the transit through the cytoplasm of certain materials, such as immunoglobulin A, from one surface of a cell to another. Such materials are taken up into vesicles by receptor-mediated endocytosis and are subsequently released by exocytosis. Endocytosis and phagocytosis are processes by which materials are taken into cells by invagination or other deformation of the plasma membrane. Apoptosis is programmed cell death, an important cellular process, but not related to secretion. Ref: Barrett K.E., Barman S.M., Boitano S., Brooks H.L. (2012). Chapter 2. Overview of Cellular Physiology in Medical Physiology. In K.E. Barrett, S.M. Barman, S. Boitano, H.L. Brooks (Eds), Ganong's Review of Medical Physiology, 24e.